Tests of SNHL are characterized by all EXCEPT
1. Positive Rinne test
2. Weber lateralised to better ear
3. More often involving high frequencies
4. Speech discrimination is good

Correct answer: 4. Speech discrimination is good

Explanation: (D) Speech discrimination is good # Characteristics of Sensorineural Hearing loss are:> A positive Rinne test, i.e. air AC > BC.> Weber lateralised to better ear.> Bone conduction reduced on Schwabach and absolute bone conduction tests.> More often involving high frequencies.> No gap between air and bone conduction curve on audiometry.; Loss may exceed 60 dB.> Speech discrimination is poor.